Mites transmit the following:
1. Scrub typhus
2. Trench fever
3. Epidemic typhus
4. Endemic typhus

Correct answer: 1. Scrub typhus

Explanation: Recketsial zoonoses Disease Agent Vector Reservoir Typhus group Epidemic typhus R. prowazekii Louse Humans Murine typhus R. typhi Flea Rodents Scrub typhus R. tsutsugamushi Trombiculid mite Rodents Spotted fever group Indian tick typhus R. conori Tick Rodents, dogs RMSF R. rickettsi Tick Rodents, dogs Rickettsial pox R. akari Mite Mice Others Q fever Coxiella burnetii Nil Cattle, sheep, goat Trench fever Bartonella Quintana Louse Humans